Active metabolite of Spironolactone  is:
1. Gluconalactone
2. Eplerenone
3. Canrenone
4. Triamterene

Correct answer: 3. Canrenone

Explanation: Spironalactone is aldosterone antagonist and Canrenone is the active metabolite.